"Steeple sign" seen in
1. Croup
2. Acule epiglottitis
3. Laryngmalacia
4. Quinry

Correct answer: 1. Croup